Most common inherited bleeding disorder -
1. Von wilebrand disease
2. Bernard soulier
3. Glanzmann thrombasthenia
4. ITP acute

Correct answer: 1. Von wilebrand disease

Explanation: Ans. is 'a' i.e., Von Wilebrand disease o Von Willebrand disease (vWD) is the most common inherited bleeding disorder.